Cardiotoxicity induced by Doxorubicin can be reduced by:
1. Dexrazoxane
2. Amifostine
3. Leucovorin
4. Bisphosphonates

Correct answer: 1. Dexrazoxane

Explanation: Ans. A. Dexrazoxane* Cardiotoxicity induced by Doxorubicin is an important side effect which can be modified by the use of Dexrazoxane.* Dexrazoxane: Iron chelator that decreases free radical formation ~ Protects myocardium from anthracycline induced injury.* Amifostine Radio protective agent (Reduces renal toxicity caused by cisplatin) Leucovorin: Reduces bone marrow & mucosal toxicity caused by methotrexate other measures Mesna: Reduces bladder toxicity caused by Cyclophosphamide.* Bisphosphonate: Reduces bone pain & frequency of new skeletal events in metastatic breast cancer & Multiple myeloma.